Hemophilia B is due to deficiency of
1. Factor IX
2. Factor VII
3. Factor XI
4. Factor X

Correct answer: 1. Factor IX

Explanation: Hemophilia B is also known as Christmas disease
Deficiency of factor 9 X linked recessive



Disorder
Deficiency


Hemophilia A
​Hemophilia B
Hemophilia C
Factor 8
Factor 9
Factor 11